Hepatitis with cholestatic jaundice occurs most frequently as an adverse reaction to the following preparation of erythromycin :
1. Erythromycin base
2. Erythromycin stearate
3. Erythromycin estolate
4. Erythromycin ethyl succinate

Correct answer: 3. Erythromycin estolate